'Cot death' is associated with
1. Female sex
2. Summer season
3. Negative autopsy
4. Age group above 2 years

Correct answer: 3. Negative autopsy

Explanation: No findings are usually seen, male sex, winter season, age group 3 months to 3 yrs commoner